In a post polio case, ilio-tibial tract contracture is likely to result in :
1. Extension at the hip and knee
2. Extension at the hip
3. Flexion at the hip and the knee
4. Extension at the knee

Correct answer: 3. Flexion at the hip and the knee

Explanation: C i.e. Flexion of hip & knee